Hep Burn Osteometric board is used to measure-
1. Length of long bones
2. Length of flat bones
3. Breadth of long bones
4. Breadth of flat bones

Correct answer: 1. Length of long bones

Explanation: Ans. 'a' i.e., Length of long bones o Hep Bum Osteometric board is used to accurately measure length of long bones.Hepburn Osteometric Boardo It is ait instrument used to measure length oflong bones.o It has a rectangular base with ruler fixed along one of its long sides,o An upright is fixed at one end of the board and a second one slides along the board.o Bone is placed with one of its ends along the fixed upright and the movable upright is brought upto the other end of the bone. The distance between the uprights is the length of the long bone,o Stature can be calculated from the length of long bones and used for identification. Femur and tibia give more accurate values compared to humerus and radius.